A patient was on DVT prophylaxis. All of the following has perforators which connect superficial veins to the deep veins, except?
1. Ankle
2. Below the inguinal ligament
3. Mid calf
4. Lower thigh

Correct answer: 2. Below the inguinal ligament

Explanation: Below inguinal ligament.Blood flows from the superficial to the deep veins through perforating (communicating veins)Perforators are located- below the medial malleolus (inframalleolar perforator)- in the medial calf (Cockett perforators)- just above (Dodd perforator) & below the knee (Boyd perforator)- at the level of the adductor canal (Hunterian perforator)